Corynebacterium minutissimum is causative in
1. Erysipelas
2. Erythrasma
3. Erysipeloid disease
4. Scrum pox

Correct answer: 2. Erythrasma

Explanation: Erythrasma is caused by corynebacterium minutissimum.